In myocardial infarction, early light microscopic change is -
1. Waviness of fibres
2. Necrosis of fibres
3. Round cell infiltration
4. None

Correct answer: 1. Waviness of fibres